Which of the follow ing is NOT an amide -
1. Lignocaine
2. Procaine
3. Mepivacaine
4. Dibucaine

Correct answer: 2. Procaine

Explanation: Ans. is 'b' i.e., Procaine Local AnaestheticsAmidesEstersLidocaineBupivacaineDibucaine (cinchocain)PrilocaineRopivacaineCocaineProcaineChloroprocaineTetracaine (Amethocain)Benzocaine